Cheiloscopy is the study of prints of?
1. Foot
2. Fingers
3. Palate
4. Lips

Correct answer: 4. Lips

Explanation: LIPPRINTS: (CheiloscopyQ): Lip prints are divided into different patterns which are specific to the individual. Lip print Patterns: Vertical, branched, intersected, reticular patterns & unidentified patterns. Palatoscopy - Study of rugae in hard palate Podogram - Study of footprints